In a case of direct occipitoposterior position (face to pubis delivery) most commonly encountered problem is:
1. Intracranial Injury
2. Cephalhematoma
3. Paraurethral tears
4. Complete perineal tears

Correct answer: 4. Complete perineal tears

Explanation: In minority :provide the fetal and maternal conditions permit one should teke a watchful expectancy for the anterior rotation of the occiput and descent of head.In occipito sacral position spontaneous delivery as face to pubis may occur.In such cases proper conduction of delivery and liberal episiotomy should be done to prevent complete perineal tear. D.C.DUTTA'S TEXTBOOK OF OBSTETRICS,Pg no:371,7th edition